All are cofactors for Dehydrogenase except:
1. NADP
2. FAD
3. NAD
4. SAM

Correct answer: 4. SAM

Explanation: Dehydrogenases - remove H2 and which is usually taken up by their cofactors: 1. FAD - FADH2 - (ETC) 2. NAD - NADH - (ETC) 3. NADP - NADPH NADPH - used in anabolic pathway - SAM (S - Adenosyl Methionine) (Donor of methyl group) is a nucleotide but not a cofactor.